Which of the following is a MDG ?
1. Reduce by 2/3" the tinder five mortality by year 1990-2015
2. Halve the prevalence of HIV-AIDS by 2015
3. Reduce maternal mortality by 50%
4. Combat PEM & diarrhoea

Correct answer: 1. Reduce by 2/3" the tinder five mortality by year 1990-2015

Explanation: Ans. is `a' i.e., Reduce by 2/3" the under five mortality by year 1990-2015